Removal of part of the gut is must for the following mesenteric cyst removal surgery
1. Enterogenous cyst
2. Chylolymphatic cyst
3. Dermoid cyst
4. Hydatid cyst

Correct answer: 1. Enterogenous cyst

Explanation: .Enterogenous type of cyst arises as a diverticulum or duplication from the adjacent bowel. hence it is a thick walled cyst (contains all layers of the bowel) and receives its blood supply from the adjacent bowel (not independent). So resection of the adjacent bowel along with the cyst is essential.Enucleation is contraindicatedIn enterogenous type, removal of the cyst with resection of adjacent bowel is done, because blood supply is from adjacent bowel. ref:SRB's manual of surgery ,ed 3,pg no 511